Treatment of solitary rectal ulcer are A/E:
1. Laxatives
2. Rectopexy
3. Banding
4. All

Correct answer: 3. Banding

Explanation: Ans. is c i.e. Banding